Epipharynx is also called -
1. Nasopharynx
2. Oropharynx
3. Laryngopharynx
4. Hypopharynx

Correct answer: 1. Nasopharynx

Explanation: Ans. is'a'i.e., Nasopharynx